Which is the earliest feature of multiple sclerosis ?
1. Internuclear opthalmoplegia
2. Optic neuritis
3. Cerebellar ataxia
4. Diplopia

Correct answer: 2. Optic neuritis

Explanation: Sudden onset of optic or retrobulbar optic neuritis without any associated CNS involvement can be interpreted as the first sign or only sign of multiple sclerosis provided other causes of optic neuritis are excluded. Reference: Current Medical Diagnosis and Treatment By Panda 3rd edition page 537.